Most important vitamin which prevent autooxidation of PUFA in membrane ?
1. Tocopherol
2. Ascorbate
3. Retinol
4. Calcitriol

Correct answer: 1. Tocopherol

Explanation: Ans. is 'a' i.e., Tocopherol Amongst given options, vitamin A, E and C are anti-oxidants.However, Vitamin E (tocopherol) is the most important antioxidant in the body, acting in the lipid phase of membranes protecting against the effects of free radicals.The main function of vitamin E is as a chain-breaking, free radical-trapping antioxidant in cell membranes and plasma lipoproteins by reacting with lipid peroxide radicals formed by peroxidation of polyunsatured fatty acid.